Which of the following is not a hard sign of arterial injury?
1. Expanding or pulsatile hematoma
2. Arterial bleeding
3. Shock
4. Bruit

Correct answer: 3. Shock

Explanation: Answer- C. ShockHard signsDistal circulatory deficitIschaemiaAbsent or diminished pulsesBruitExpanding or pulsatile hematomaArterial bleeding